Which of the following is not a Cholera vaccine?
1. Ty21a
2. CVD-103-HgR
3. WC-rBS
4. mORC-Vax

Correct answer: 1. Ty21a

Explanation: Ty21A is strain of typhoid vaccine. Rest all strains given are used for Cholera. Different vaccines & their strains: VACCINE STRAIN BCG Danish 1331 OPV P1, P2, P3 Measles Edmonston zagreb, schwarez, Moraten Mumps Jeryll Lynn Rubella RA 27/3 Yellow fever 17D Varicella Oka H1N1 A7/ California/2009 Rabies fixed viral strain Anthrax Sterne strain Anti-malarial Litic cocktail Mosquirix S,S Anti-HIV MVA